All the following are indications for thoracotomy in blunt chest injury EXCEPT
1. Initial drainage of 350 mL of blood from the intercostal drain
2. Continuous bleeding of > 200 mL \/ hours for 3 hours from intercostal drain
3. Continuous brisk bleeding of > 100 mL \/15 minutes from intercostal drain
4. Rupture of diaphragm

Correct answer: 1. Initial drainage of 350 mL of blood from the intercostal drain

Explanation: .indications for thoracotomy haemothorax more than 1500ml found when ICT is placed hourly collection in ICT is 200-300ml ICT placed shows persistent drainage of blood diaphramatic injury when associated with liver and spleen injuries bronchus and major blood vessel injuries haemopericardium oesophageal and thoracic duct injuries (Ref: SRB's Manual of Surgery, 5th edition, pg no.113)